FG, FFG, FFFG is used to indicate:
1. Cartridge
2. Black powder size
3. Base of gun
4. Wadding of cartridge

Correct answer: 2. Black powder size

Explanation: Black Gun Powder: Described as FG, FFG, FFFG, FFFFG depending on the fineness of the grain. The finer grains have more number of 'F'